The following drugs can produce ototoxicity except :
1. Ethacrynic acid
2. Aztreonam
3. Gentamicin
4. Frusemide

Correct answer: 2. Aztreonam